Insulin secretion is normally stimulated by
1. GLP-1
2. GLP-2
3. VIP
4. Adrenergic receptor

Correct answer: 1. GLP-1

Explanation: Insulin secretion is normally stimulated by GLP-1. Glucagon like peptide-1 (GLP-1) and glucose-dependent insulinotropic peptide(GIP) are called incretins and potent stimulators of insulin secretion. They also inhibit glucagon secretion. They are released in the gastrointestinal tract after a person eats a meal. They then cause an "anticipatory" increase in blood insulin in preparation for the glucose and aminoacids to be absorbed from the meal. Factors affecting insulin secretion Stimulators Inhibitors Glucose 2-Deoxyglucose Mannose Mannoheptulose Glucagon Somatostatin Aminoacids- leucine arginine Intestinal hormones- GIP, GLP-1, gastrin, secretin, CCK K+ depletion Acetlycholine (parasympathetic stimulation) Leptin b-adrenergic stimulators Theophylline Sulfonylureas a-adrenergic stimulators (norepinephrine, epinephrin) b-adrenergic blockers (propanalol) Diazoxide Thiazide diuretics Phenytoin Alloxan Microtubule inhibitors (Taxanes, Vinca, alkaloids) Insulin Ref: Guyton and Hall 13th edition PGno: 991